Which of the following virus is from Herpes virus family?
1. Rubella
2. Measles
3. Rabies
4. EBV

Correct answer: 4. EBV

Explanation: A VIRINAE B VIRINAE VIRINAE Includes HSV 1 HSV 2 HHV 3 Affects Ganglionic cells Includes HHV 5 HHV 6 HHV 7 Affects salivary glands Includes HHV 4 HHV 8 Affects B cells HHV - 3 - varicella zoster HHV - 4 - EBV HHV - 5 - Cytomegalo virus HHV - 8 - Kaposi saroma causing virus HSV - 1 - Herpes simplex virus 1 HSV - 2 - Herpes simplex virus 2